True about multiple myeloma except -
1. ↑ Uric acid
2. ↑ Urea
3. ↑ Ca++
4. ↑ Alkaline phosphatase

Correct answer: 4. ↑ Alkaline phosphatase